Headlight in fog appearance in retina
1. Toxoplasmosis
2. ARN
3. CMV retinitis
4. Candida retinitis

Correct answer: 1. Toxoplasmosis

Explanation: White focal retinitis with overlying vitreous inflammation ("headlight in the fog") is seen in Toxoplasmosis